Cells which surround the oocyte in Graafian follicle are called
1. Discus proligerus
2. Cumulus oophorous
3. Luteal cells
4. Villius cells

Correct answer: 2. Cumulus oophorous

Explanation: Oocyte lies eccentrically in the ovarian follicles surround by some granulosa cells called cumulus oophorous. Discus proligerus is the attachment point of the cumulus oophorous to the most peripheral granulosa cells of an antral follice. Ref: Gray's 39e/p-210-220